Becks triad is seen in
1. Constrictive pericarditis
2. Restrictive cardiomyopathy
3. Cardiac tamponade
4. HOCM

Correct answer: 3. Cardiac tamponade

Explanation: Components of Beck's Triad Hypotension with a Narrowed Pulse Pressure Jugular Venous Distention Muffled heart Sounds it is a pathognomic feature of cardiac tamponade Ref Harrison 20th edition pg 1546